All the following are characteristic of Turner Syndrome EXCEPT-
1. Webbing of Neck
2. Cubitus valgus
3. Umbilical Hernia
4. Coarctation of Aorta

Correct answer: 3. Umbilical Hernia

Explanation: Ans. is 'c' i.e., Umbilical Hernia